Injury to which nerve will affect lacrimal secretion
1. Greater petrosal nerve
2. Lesser petrosal nerve
3. Sphenopalatine nerve
4. Nasocilliary nerve

Correct answer: 1. Greater petrosal nerve